Eosinophilic abscess in lymph node is characteristically
1. Kimura disease
2. Hodgkins lymphoma
3. Tuberculosis
4. Sarcoidosis

Correct answer: 1. Kimura disease